A 19-year-old college student develops a severe sore throat, cervical lymphadenopathy, and atypical lymphocytes on blood film. A heterophil antibody test is positive.For the above patient with a hematologic abnormality, select the most likely diagnosis.
1. hyperthyroidism
2. rectal cancer
3. infectious mononucleosis
4. renal cell carcinoma

Correct answer: 3. infectious mononucleosis

Explanation: Heterophil antibodies react against sheep red cells and are not absorbed by the guinea pig kidney. They are positive in patients with infectious mononucleosis. In 90% of cases, liver enzymes are elevated. Examination of the blood film reveals a lymphocytosis with atypical lymphocytes.